In alcoholic liver disease which of the following pigments is deposited in the Hepatocytes
1. Hemosiderin
2. Hemoglobin
3. Melanin
4. Lipofuscin

Correct answer: 1. Hemosiderin

Explanation: Refer Robbins page no 857